The chamber condition required for autoclaving with respect to the temperature-time is which of the following?
1. 121degC temperature for 20 min
2. 121degC temperature for 15 min
3. 100degC temperature for 60 min
4. 100degC temperature for 90 min

Correct answer: 2. 121degC temperature for 15 min

Explanation: Moist heat sterilization, usually autoclaving, is the most frequently used method of sterilization. Bacterial spores which are resistant to boiling are sterilized using autoclaving. Autoclaving is done in a chamber in which steam, at a pressure of 15 lb/in2, reaches a temperature of 121degC and is held at that temperature for 15 to 20 minutes. Sterilization by dry heat requires temperatures in the range of 180degC for 2 hours. It is used primarily for glassware. Pasteurization involves heating the milk to 62degC for 30 minutes followed by rapid cooling. It is sufficient to kill the vegetative cells of the milk-borne pathogens (e.g., Mycobacterium bovis, Salmonella, Streptococcus, Listeria, and Brucella). Ref: Review of Medical Microbiology and Immunology, 12e, Chapter 13